The components of initial steps of ventilation include:
1. Drying & Positioning
2. Clearing Airway
3. Provision of tactile stimulus
4. All of the above

Correct answer: 4. All of the above

Explanation: Ans. D. All of the aboveThe components of initial steps include: Drying, positioning, clearing airway and provision of tactile stimulus. The baby should be placed under the radiant warmer, dried if already not done. The baby must be positioned with neck slightly extended by placing the shoulder roll. The airway would need to be cleared with mucus extractor and if the infant is still not breathing, then tactile stimulus by flicking soles or rubbing the back may be carried out to initiate breathing.